Most common phase-2 reaction
1. Glucuronide conjugation
2. Acetylation
3. Methylation
4. Sulfate conjugation

Correct answer: 1. Glucuronide conjugation

Explanation: Ans. is'a'i.e., Glucuronide conjugationRef: KDT Vh/e p. 24Most important metabolizing reaction, overall